The term "Left sided appendicitis" as popularly called is nothing but
1. Diverticulities
2. Ascending colitis
3. Descending colitis
4. Typhilitis

Correct answer: 1. Diverticulities

Explanation: .Diverticulitis is the second stage due to inflammation of one or more diverticula with pericolitis.It presents with persistent pain in left iliac fossa, fever, loose stool, recurrent constipation, tenderness in right iliac fossa, palpable and thickened sigmoid colon. P/R may reveal a tender mass ref:SRB 's manual of surgery,ed 3,pg no-821